Gyromagnetic property of proton is seen in -
1. MRI
2. CT
3. PET scan
4. USG

Correct answer: 1. MRI

Explanation: MRI is based on gyromagnetic property on protons. Defined as the ability of protons in the body to absorb and emit radio waves, when the body is placed in strong magnetic field.